Which nucleus is under facial colliculus?
1. Facial
2. Glossopharyngeal
3. Abducent
4. Trigeminal

Correct answer: 3. Abducent

Explanation: Ans. is 'c' i.e., Abducent o Facial colliculus is a small elevation in the pons, produced by genu (recurring fibers) of facial nerve looping around (covering) abducent nucleus. o Facial colliculus produces medial eminence on each side of median sulcus in 4th ventricle.